Man is the intermediate host of:
1. Malaria
2. Filaria
3. Dengue
4. Plague

Correct answer: 1. Malaria

Explanation: Sexual cycle takes place in the mosquitoes, while asexual Cycle takes place in human beings. Therefore, mosquito acts as the definitive host, while man-the intermediate host. Asexual cycle is responsible for producing clinical malaria in man, while sexual cycle is responsible for reproduction. Human cycle acts as a reservoir, while mosquito cycle a transmitter of the disease.